Multiple radio opacities are seen in
1. Multiple myeloma
2. Cherubism
3. Osteopetrosis
4. Odontomas

Correct answer: 4. Odontomas